Muscle relaxant safe in renal failure patient is:
1. Pancuronium
2. Piperacuronium
3. Curare
4. Atracurium

Correct answer: 4. Atracurium

Explanation: Ans. D: Atracurium Suxamethonium should be avoided if hyperkalaemia is present. Some non-depolarising muscle relaxants depend on the kidney for elimination. Atracuriuin is the agent of choice as it undergoes spontaneous Hoffman degradation at body temperature. Vecuronium and mivacurium are safe to use in renal failure as only small percentages are excreted renally. Gallamine should be avoided and pancuronium, alcuronium, pipecuronium, curare and doxacurium should be used with caution. Potentiation of neuromuscular blockade may occur in the presence of a metabolic acidosis, hypokalaemia, hypermagnesaemia, or hypocalcaemia and with medications such as aminoglycosides. Monitor neuromuscular blockade whenever possible.